Differentiation of hysterical fit from epileptic fit:
1. Occurs in sleep
2. Injuries to person
3. Incontinence
4. Occurs when people are watching

Correct answer: 4. Occurs when people are watching

Explanation: Occurs when people are watching